All are true about alveolar osteitis except?
1. It is caused by fibrinolysis of the clot on the 3rd - 4th post-operative day, before formation of granulation tissue
2. Incidence is higher in smokers and females on oral contraceptives
3. Main aim of the treatment is prevention of pus formation
4. Treatment is socket irrigation and placement of obtundent dressing

Correct answer: 3. Main aim of the treatment is prevention of pus formation

Explanation: Main aim of the treatment in dry socket is to relieve the patient's pain.